Which of the following nuclei belongs to the general visceral efferent column of brainstem?
1. Facial nerve nucleus
2. Trigeminal nerve nucleus
3. Dorsal nucleus of Vagus
4. Nucleus ambiguus

Correct answer: 3. Dorsal nucleus of Vagus

Explanation: The brainstem general visceral efferent column nuclear groups includes Edinger Westphal nucleus at rostral levels of the midbrain, superior salivatory nucleus in the lower pons, inferior salivatory nucleus and the dorsal vagal nucleus in the medulla oblongata. The nuclear groups included under the general somatic efferent column in brainstem includes rostral part of midbrain, oculomotor nucleus in the caudal part of midbrain, trochlear nucleus in the lower pons, abducens nucleus and at the medullary levels the hypoglossal nucleus.